Combination of Sparfloxacin and Terfenadine can cause:
1. Myopathy
2. Nephropathy
3. Electrolyte imbalance
4. Ventricular arrhythmia

Correct answer: 4. Ventricular arrhythmia

Explanation: Drugs that prolong Q-T interval : CLASSIFICATION DRUGS 1. Antiarrhythmics Quinidine, Procainamide, Disopyramide, Propafenone, Amiodarone 2. Antimalarials Quinine, Mefloquine, Artemisinin, Halofantrine 3. Antibacterials Sparfloxacin, Moxifloxacin 4. Antihistaminics Terfenadine, Astemizole, Ebastine 5. Antidepressants Amitryptyline and other Tricyclic Antidepressants 6. Antipsychotics Thioridazine, Pimozide, Aripiprazole, Ziprasidone 7. Prokinetic Cisapride Note : Above mentioned drugs can precipitate Torsades de pointes (TDP) Sparfloxacin : Second generation difluorinated quinolone which has enhanced activity against Gram positive bacteria, Bacteroids fragilis, other Anaerobes and Mycobacteria. Its major indications include pneumonia, exacerbations of chronic bronchitis, sinusitis and other ENT infections. However it has frequently caused Phototoxic reactions and thereby therecipients should be cautioned not to go out in the sun.